A 15 year old boy came back to his village after a vacation to his relatives. He developed severe headache and purulent nasal discharge and w diagnosed as acute bacterial meningitis. He died 5 days later. Which is the most likely etiological agent?
1. Plasmodium falciparum
2. Toxoplasma
3. Naegleria fowleri
4. Entamoeba histolytica

Correct answer: 3. Naegleria fowleri

Explanation: Naegleria fowleri infects people when water containing the ameba enters the body through the nose. This typically occurs when people go swimming or diving in warm freshwater places, like lakes and rivers. The Naegleria fowleri ameba then travels up the nose to the brain where it destroys the brain tissue. Ref Harrison20th edition pg 2443